Cough of more than 3 months duration in a non-smoker with normal chest X-ray. All reasons are true EXCEPT:
1. Post nasal drip
2. Asthma
3. Gastroesophgeal reflux
4. Common cold

Correct answer: 4. Common cold

Explanation: Ans. D i.e. Common cold